Drug of choice for Methicillin resistant staphylococcus aureus is (MRSA) -
1. Amoxicillin-Clavulanate
2. Vancomycin
3. Flucloxacillin
4. CI indamycin

Correct answer: 2. Vancomycin

Explanation: Ans. is 'b' i.e., Vancomycin